All of the following are true about Borderline tumors except :
1. 10% of all epithelial tumours are borderline.
2. They have a good prognosis.
3. Metastases are common
4. Absence of stromal invasion

Correct answer: 3. Metastases are common

Explanation: The characteristic feature of borderline tumor of ovary are: - 10% of all epithelial tumours are borderline. - metastasis are uncommon but can rarely occur. - the chief characteristic feature is absence of stromal invasion. - confined to ovary for long time and have very good prognosis. Reference: Textbook of Gynaecology, Sheila balakrishnan, 2nd edition, pg no:272,273